Which of the following is locking muscle for knee?
1. Popliteus
2. Hamstring
3. Quadriceps
4. None

Correct answer: 3. Quadriceps

Explanation: The quadriceps locks the knee during the terminal stages of extension. Locking is defined as the medial rotation of femur on tibia.The popliteus unlocks the locked knee. The unlocked knee is further flexed by the hamstrings. Locking and unlocking must occur alternately to allow locomotion.Reference; Textbook of anatomy abdomen and lower limb, Vishram Singh, 2nd edition, page no.447